Which of the following is gram positive bacillus?
1. Staphylococcus
2. Streptococcus
3. Listeria
4. Meningococci

Correct answer: 3. Listeria

Explanation: Ans. is 'c' i.e., Listeria Gram positive bacteria There are 6 classic gram positive bacteria that cause human disease. Of these 2 are cocci Staphylococci Streptococci (including anaerobic peptostreptococci) Other 4 are bacilli Corynebacterium 3. Clostridium Bacillus 4. Listeria